All of the following are used as proxy measures for incubation period, except:
1. Latent period
2. Period of communicability
3. Serial interval
4. Generation time

Correct answer: 2. Period of communicability

Explanation: Period of communicability